Which drug should be avoided in the management of traumatic hyphema in a dark race individual?
1. Timolol
2. Acetazolamide
3. Atropine
4. Steroids

Correct answer: 2. Acetazolamide

Explanation: Traumatic hyphema presents with raised intraocular pressure.Timolol will help to control raised IOP. Atropine will provide cycloplegic action and will provide relief from pain. Steroids will help to prevent rebleed. Acetazolamide is not given in dark race patients due to risk of sickling as a result of metabolic acidosis caused by acetazolamide.